Features of depression include all EXCEPT
1. Depressed mood
2. Loss of appetite
3. Hyperactivity
4. Suicidal ideas

Correct answer: 3. Hyperactivity

Explanation: (C) Hyperactivity # Depressed patients usually have slowed thinking and activity, decreased energy and monotonous voice.> Depressed Mood> Psychomotor Activity: In younger patients (<40 year old), retardation is more common which is characterized by slowed thinking and activity, decreased energy and monotonous voice.